Which of the following radiographic feature is not seen in hyperparathyroidism?
1. Absence of lamina dura
2. Ground glass appearance of the bone
3. Small radiopacities around the teeth
4. None

Correct answer: 3. Small radiopacities around the teeth

Explanation: Large and/or small sharply defined radiolucencies may be present in the maxilla and/or mandible.
Absence of the lamina dura and ‘ground-glass’ appearance of the bone.